E antigen (HBe Ag) of hepatitis B virus is a product of which gene-
1. S
2. C
3. P
4. X

Correct answer: 2. C

Explanation: Ans. is 'b' i.e., C Genes & gene producto The genome of HBV is made of circular DNA, but it is unusual because the DNA is not fully double stranded - one of the strands is incomplete and other is complete - partially double stranded DNA.o There are four known genes encoded by genome - 'C', 'X', 'P', 'S'GenesRegionsGene productsSSS-Pre-S2S + Pre - S1 & S2Major protein (S)Middle protein (M)Large protein}HBsAgCCC + PreCHbc AgHbe Ag P DXA PolymeraseXHBxAgP gene is the largest gene.X-gene codes for HBx Ag, which can transactivate the transcription of cellular and viral genes and may contribute to carcinogenesis. HBx Ag and its antibody are present in patients with severe chronic hepatitis and hepatocellular carcinoma.